Acceptable noise level (in decibels) for Hospital wards is:
1. 20-35
2. 35-45
3. 45-55
4. 50-60

Correct answer: 1. 20-35

Explanation: Ans (a) 20-35Ref : K. Park 23rd ed. / 741-42, 19th/599Acceptable noise levels (dBA)Residential:Bed roomLiving room2540Commercial:OfficeConferenceRestaurants35-4540-4540-60industrial:WorkshopLaboratory40-6040-50Educational:Class roomLibrary30-4035-40Hospitals:Wards20-35